Most common cause of embolic stroke is -
1. Intra-Cardiac Thrombi
2. Particulate matter from IV drug injections
3. Protein C deficiency
4. Antiphospholipid syndrome

Correct answer: 1. Intra-Cardiac Thrombi

Explanation: Ans. is 'a' i.e., Intra-Cardiac Thrombi o The most common cause of embolic strokes are Intra-cardiac Thrombi.o The most common sources of systemic embolism and embolic stroke are Intra-cardiac thrombiformed as a result of atrial fibrillation, ST-elevation Ml, left ventricular dysfunction or heart failure.